Malignant hyperthermia is caused due to which of the following mechanism?
1. Increased intracellular NA
2. Decreased intracellular chlorine
3. Increased intracellular Ca
4. Increased serum K

Correct answer: 3. Increased intracellular Ca

Explanation: The mechanism involves a sudden rise in intracellular calcium due to release of stored calcium in sarcoplasmic reticulum, stimulating contraction, rhabdomyolysis and a hypermetabolic state.(Refer: stoelting's pharmacology and physiology in anaesthetic practice, 5th edition, pg no.823)